Serum marker to return to normal level, last in myocardial infarction is:
1. Lactate dehydrogenase
2. Creatine phosphokinase
3. Aspartate transmainase
4. Myoglobin

Correct answer: 1. Lactate dehydrogenase

Explanation: Enzymes in MILDH is the last enzyme to rise (3-4 days) and also the last enzyme to return to normal level in MI (10-15 days)CPK returns to normal by 2-3 daysAST/ SCOT returns to normal by 4-5 daysMyoglobin returns to normal by 20-25 hours